Maximum shortening of the lower limb is seen in -
1. # Shaft femur
2. # Neck femur
3. # Intertrochanter
4. Transcervical #

Correct answer: 1. # Shaft femur

Explanation: Shortening of lower limb is seen in (from maximum to minimum).


Posterior dislocation of hip
Shaft femur fracture
Fracture subtrochanteric region
Intertrochanteric fracture
Neck femur fracture